Diabetic ketoacidosis is best managed by:
1. Crystalline insulin given intravenously.
2. Human insulin given intramuscularly.
3. Lente insulin given subcutaneously.
4. Isophane insulin given intradermally.

Correct answer: 1. Crystalline insulin given intravenously.

Explanation: Diabetic ketoacidosis (DKA) is characterized by hyperglycemia, glycosuria, ketonuria, ketonaemia, dehydration and acidosis. The key factor responsible for development of diabetic ketoacidosis is insulin deficiency. The most appropriate management of this emergency condition would be intravenous infusion of insulin at the rate of 0.1 U/kg/hour. Since regular crystalline insulin can be administered intravenously it is useful in the management of DKA.